Infection with Sporothrix schenckii (formerly Sporotrichum schenckii) is an occupational hazard for gardeners. The portal of entry for this organism is the
1. Lymphatic system
2. Respiratory tract
3. Skin
4. Mouth

Correct answer: 3. Skin

Explanation: Cutaneous sporotrichosis, caused by S. schenckii, begins at the site of inoculation, usually on an extremity or the face. The organism often is found on thorns of rose bushes. Ulceration is common and new lesions appear along paths of lymphatic channels. Extracutaneous sporotrichosis is seen primarily in bones and joints. There is no evidence to suggest that any portal of entry besides skin is important.